Antimicrobials effective against anaerobic bacteria include the following except
1. Tobramycin
2. Clindamycin
3. Chloramphenicol
4. Metronidazole

Correct answer: 1. Tobramycin

Explanation: Ref-KDT 6/e p719,720 Aminoglycoside require oxygen for transport in the bacterial cell. This hardware for ineffective against anaerobic organism